Primary herpetic Lesions involving the gingiva are most
likely to occur during ages:
1. 1-5 years
2. 6-12 years
3. 13-16 years
4. They are Likely to occur equally at any age

Correct answer: 1. 1-5 years